Antifungal which can be used orally but not iv is?
1. Voriconazole
2. Amphoterecin B
3. Terbinafine
4. None of the above

Correct answer: 3. Terbinafine

Explanation: Ans. is 'c' i.e., Terbinafine